All are true about rifampicin EXCEPT ?
1. Microsomal enzyme inducer
2. Used in treatment of meningiococcal meningitis
3. May cause OCP failure
4. Bactericidal in nature

Correct answer: 2. Used in treatment of meningiococcal meningitis

Explanation: Ans. is 'b' i.e., Used in treatment of meningiococcal meningitis o Rifampicin is used for prophylaxis of meningococal meningittis (not for treatment). o Other three options are correct.